Laryngofissure is -
1. Opening the larynx in mid line
2. Making window in thyroid cartilage
3. Removal of arytenoids
4. Removal of epiglottis

Correct answer: 1. Opening the larynx in mid line